Which of the following NSAID has good tissue penetrability with concentration in synovial fluid?
1. Ketorolac
2. Diclofenac sodium
3. Sulindac
4. Piroxicam

Correct answer: 2. Diclofenac sodium

Explanation: Ans. is 'b' i.e., Diclofenac sodium Diclofenac has good penetrability and achieves good concentration in tissue fluid, e.g. synovial fluid.